Empowered Action Group state among the following
1. Maharashtra
2. Karnataka
3. Kerala
4. Orissa

Correct answer: 4. Orissa

Explanation: Empowered action group states are socioeconomically backward states, they are 8 in number - Jharkand, Orissa, Chattisgarh, Rajasthan, Bihar, Madhya Prades, Uttar Pradesh, Uttaranchal.